A 40 year old male patient complains of pins and needles sensation in the legs. Patient consumes polished rice as staple food. This patient may be suffering from deficiency of-
1. Vitamin C
2. Vitamin B1
3. Vitamin B2
4. Vitamin A

Correct answer: 2. Vitamin B1

Explanation: Deficiency of vitamin B1 causes beriberi
Beri-beri is mostly seen in populations consuming exclusively polished rice as staple food. 
The early symptoms of thiamine deﬁciency are loss of appetite (anorexia), weakness, constipation, nausea,  mental depression, peripheral neuropathy, irritability etc. 
Numbness in the legs complaints of 'pins  and needles sensations' are reported

Key Concept:

Deficiency of vitamin B1 causes beri-beri
Pin and needles sensations are characteristic features of beri beri